Accessory meningeal artery enters cranial cavity through:
1. Foramen lacerum
2. Foramen rotundum
3. Foramen spinosum
4. Foramen ovale

Correct answer: 4. Foramen ovale

Explanation: Accessory meningeal artery is a branch of 1st part of Maxillary artery. 
It enters the cranium by passing through foramen ovale.
It supplies meninges and infratemporal fossa.